All are seen in Reye\'s syndrome except –
1. Aminoaciduria
2. Metabolic acidosis
3. Increased serum transaminases
4. Respiratory alkalosis

Correct answer: 1. Aminoaciduria